A 20 month old female child is brought for routine check-up. Complete blood count (CBC) shows moderate neutropenia. Child looks healthy, eats well and within expected parameters for age and sex. Other parameters of blood count are within normal range expected for age. Family history is unremarkable. CBC after 1 and 2 weeks shows same results. Bone marrow examination is normal. Next step
1. Corticosteroid administration
2. Multivitamin administration
3. Watch and wait strategy
4. Antibiotics to prevent infection

Correct answer: 3. Watch and wait strategy

Explanation: Answer: c) Watch and wait strategyBENIGN NEUTROPENIAA rare disease usually found in young children that is self-limiting.Despite low neutrophil count, the cells are functional, so infections in these children are not more common than in children with normal neutrophil count.Neutropenia is expected to get better on its own after several weeks to several months.Corticosteroids would not help with the neutrophil count and would be potentially dangerous because of all the side effects they have.Benign neutropenia is not a result of vitamin deficiency, so multivitamin therapy would not be helpful.Despite low neutrophil count, severe infections are not expected in these children, so antibiotics administration is not necessary.